Out of the four layers, which cells of are the most active for protein synthesis:
1. Spinous cell.
2. Basal cell.
3. Granular cell.
4. Corneum cell.

Correct answer: 1. Spinous cell.

Explanation: The spinous (prickle) cells resemble a cocklebur or sticker that has each spine ending at a desmosome. Of the four layers, the spinous cells are the most active in protein synthesis. These cells synthesize additional proteins that differ from those made in the basal cells.